Fluoride chewable tablets are preferred because:
1. More F is ingested
2. Easily acceptable
3. Daily topical application occurs
4. Economical

Correct answer: 3. Daily topical application occurs